Hyperphenylalaninemia is due to defect in the enzyme:
1. Phenylalanine hydroxylase:
2. Tyrosinase
3. Homogentisic acid oxidase
4. Ornithine transcarbamylase

Correct answer: 1. Phenylalanine hydroxylase:

Explanation: a. Phenylalanine hydroxylase(Ref: Nelson's 20/e p 636-636)Deficiency of the enzyme phenylalanine hydroxylase or of its cofactor tetrahydrobiopterin (BH4) causes accumulation of phenylalanine in body fluids and in the brain.